Total capacity of the stomach is markedly reduced in -
1. Cauliflower growth of stomach
2. Hourglass stomach
3. Pyloric stenosis
4. Linitis plastica

Correct answer: 4. Linitis plastica